Which one of the following enzyme is used as an anti-cancer drug
1. Alpha-1-antitrypsin
2. Streptokinase
3. Asparginase
4. Papain

Correct answer: 3. Asparginase

Explanation: Asparaginase is a bacterial enzyme that causes breakdown of extracellular asparagine required for protein synthesis in leukemic cells.Asparaginase is used to treat acute lymphoblastic leukaemia, acute myeloid leukaemia, and non-Hodgkin's lymphoma.Harrison 19th edition pg:103e